Lallu a 22 yrs. old male suffers from decreased sleep, increased sexual activity, excitement and spending excessive money for last 8 days. The diagnosis is-
1. Confusion
2. Mania
3. Hyperactivity
4. Loss of memory

Correct answer: 2. Mania

Explanation: Decreased sleep, increased sexual activity, excitement and spending excessive money are symptoms of mania.